Enumerate the two structures passing through quadrangular space of back:
1. Suprascapular artery and Axillary nerve.
2. Subscapular artery and Radial nerve.
3. Posterior circumflex humeral artery and Axillary nerve.
4. Profunda brachii artery and Radial nerve.

Correct answer: 3. Posterior circumflex humeral artery and Axillary nerve.

Explanation: Aru. C. Posterior circumflex humeral artery and Axillary nerve.An-important opening called the quadrangular space is formed by the inferior margin of the teres minor, the shaft of the humerus, the superior margin of teres major and the lateral margin of the long head of the triceps.The axillary nerve and posterior humeral circumflex artery pass through this space.